A 67 year old female finally decides that to get glasses, about thirty years after she actually needed them, and goes to an optometrist for an eyeglass prescription. Her eye examination turns up some unexpected findings. Her pupils are very small. When a pen light is shown into her eyes, none of the pupil contracts. However, when the optometrist brings his fingers towards her face, both pupils constrict dramatically. What is the papillary response called?
1. Anisocoria
2. Adie's pupil
3. Ophtlmoplegia internal
4. Argyll Robertson pupil

Correct answer: 4. Argyll Robertson pupil

Explanation: Argyll Robertson pupil The Argyll Robertson pupil does not respond to light but it has a normal or even exaggerated response to accommodation. Argyll Robertson pupil is seen with neurosyphillis. When the pupils are not the same size, it is called anisocoria. Adies pupil, is a tonic pupil. The pupil has a marked reduction in its response to both light and accommodation; not just light, as the case here. Ophthalmoplegia internal is a dilated paralyzed pupil.This pupil will not respond to light or accommodation.